Preformed antibodies cause -
1. Hyperacute rejection
2. Acute rejection
3. Chronic rejection
4. Acute humoral rejection

Correct answer: 1. Hyperacute rejection

Explanation: Harshmohan textbook of pathology 7th edition . *hyper acute rejection appeares with in minutes to hours of placing the transplant and destroy it.It is mediated by preformed humoral antibody against donar antigen